Standard of Living (WHO) includes all except :
1. Income
2. Sanitation and nutrition
3. Level of provision of health
4. Human rights

Correct answer: 4. Human rights

Explanation: Standard of Living : Refers to the usual scale of our expenditure, goods we consume and services we enjoy Standard of Living (WHO) includes : Income and occupation Standards of housing, sanitation and nutrition. Level of provision of health, educational, recreational and other services Ref: Park 25th edition Pgno : 16